Gastric acid decreased by
1. Secrilin
2. Vagal stimulation
3. Proteins in gastric fluids
4. Gastric antral distension

Correct answer: 1. Secrilin

Explanation: When hydrochloric acid passes from the stomach into the duodenum, secretin is released into the bloodstream and stimulates the acinar cells of the pancreas to secrete water and bicarbonate into the pancreatic ducts that drain into the duodenum. By this mechanism, hydrochloric acid secreted by the stomach, which can be damaging to the intestinal lining, is promptly diluted and neutralized. Secretin also inhibits the secretion of gastrin, which triggers the initial release of hydrochloric acid into the stomach, and delays gastric emptyingref: guyton and hall textbook of medical physiology 12 edition page number: 409,410,411